A 15 years old girl complains of anterior knee pain which increases on going upstairs and getting up after prolonged sitting. The most probable diagnosis is:
1. Chondromalacia Patellae
2. Plica syndrome
3. Bipartite patellae
4. Patellofemoral arthritis

Correct answer: 1. Chondromalacia Patellae

Explanation: Ans. A. Chondromalacia Patellaea. Bipartite patellae is congenital fragmentation of patellae and is usually asymptomaticb. Plica syndrome- presence of synovial fold in suprapatellar pouch which can undergo inflammation and presents as meniscal symptoms of lockingc. PFA will be seen in later age.